Which of the following is not a disorder of form of thought
1. Derailment
2. Tangentiality
3. hallucination
4. Loosening of association

Correct answer: 3. hallucination

Explanation: The disorders of form of thought include looseness of associations, derailment, incoherence, tangentiality, circumstantiality, neologisms, echolalia, verbigeration, word salad, and mutism. Disorders of the form of thought are objectively observable in patients' spoken and written language. The disorders of form of thought include looseness of associations, derailment, incoherence, tangentiality, circumstantiality, neologisms, echolalia, verbigeration, word salad, and mutism. flight of ideas is where the patient starts about a topic and then subsequent thoughs will be connected by chance assosiations and the goal is not reached. this is seen in mania. circumstantiality is where the patient starts about a topic and adds irrelevant details before reaching the goal and is seen in organic disorders. loosening of assosiation is a type of formal thought disorder where the patient's thoughts are not connected and there are no meaningful connections. this is a charecterstic feuture of schizophrenia. this is one of the 4A's of schizophrenia that was given by Eugene Bleuler. 4A's that is given by schizophrenia is the most repeated question they are autism ambivalance apathy assosiation loss or loosening of assosiation whereas hallucination is a disorder of perception Reference: Kaplan & Sadock's synopsis of psychiatry 11th edition, page 313,300 Reference: Kaplan & Sadock's synopsis of psychiatry 11th edition, page 313.